The main purpose of etching enamel before placement of composite is:
1. To increase the surface area and surface energy
2. To provide micro mechanical interlocking
3. To provide proper adaptation and decrease microleakage
4. All of the above

Correct answer: 4. All of the above